All of the following conditions may be associated with Pancytopenia and Splenomegaly, Except
1. Aplastic Anemia
2. Hairy Cell Leukemia
3. Myelofibrosis
4. Hypersplenism

Correct answer: 1. Aplastic Anemia

Explanation: Answer is A (Aplastic Anemia) Splenomegaly is typically absent in patients with aplastic anemia, and if present, the diagnosis of aplastic anemia should be questioned and search for another associated pathology be initiated Splenomegaly, Lymphadenopathy and Hepatomegaly in Aplastic Anemia The finding of splenomegaly or lymphadenopathy or hepatomegaly at presentation in patients with Aplastic Anemia is unusual and if present should cause one to question the diagnosis of aplastic anemia. Splenomegaly may develop later in the course of disease or after several blood transfusions. Myelofibrosis and Hairy cell Leukemia are typically associated with Pancytopenia and Splenomegaly. Hypersplenism is also often associated with .splenomegaly and Pancvtopenia.